Which of the following inhalational agents has the minimum blood gas solubility coefficient?
1. Isoflurane
2. Sevoflurane
3. Desflurane
4. Nitrous oxide

Correct answer: 3. Desflurane

Explanation: C i.e. Desflurane Pungent volatile anesthetic agents are desflurane, isoflurane, enflurane and etherQ. (Mn-"DIE') Volatile Anesthetic Agent Physical property Blood/ Gas partition coefficient Xenon Colourless, odourless, nonirritating (i.e. non pungent) 0.115 Low B/G Coeffiecient = Low solubitity in blood i.e. fast induction & rapid recoveryQ Desflurane Pungent (irritating / unpleasant to inhale) 0.42 Nitrous oxide (N20) Colourless, sweet smelling, non irritant (i.e. non pungent) 0.47 Sevoflurane Colourless, non pungent 0.69 Isoflurane Pungent ethereal odor (i e. moderately irritating) 1.4 Mn-"Xena- Dislikes No Save" "IE HEAT" Enflurane Pungent 1.9 Halothane Colourless, non irritating (non pungent/pleasant) odor 2.5 High B/G coefficient = High solubility in blood i.e. Slow induction & slow recoveryQ Ether Extremely irritating (pungent) 12 * Because of lack of chlorine / bromine ions; sevoflurane & desflurane have no effect on ozone layer. Pungent = Unpleasant= Causing Cough = Irritant